Compound nevi with dysplasia is:
1. Clarks nevi.
2. Spitz nevi.
3. Blue nevi.
4. None.

Correct answer: 1. Clarks nevi.